Kala azar is -
1. Mucocutaneous leishmaniaris
2. Cutaneous leishmaniasis
3. Oriental sore
4. Visceral leishmaniasis

Correct answer: 4. Visceral leishmaniasis

Explanation: Ans. is 'd' i.e., Visceral leishmaniasis Types of LeishmaniasisCausative agentVector (sandflies)o Visceral leishmaniasis (Kala-azar)o Cutaneous leishmaniasisLeishmania donovaniPhlebotomus argentipesPhlebotomus papatasi & phlebotomus sergentii) Oriental soreii) Muco-cutaneous leishmaniasisLeishmania tropicaLeishmania braziliensis